Raji cell assays are used to quantitate
1. Complement level
2. Immune complexes
3. T cells
4. Interferon level

Correct answer: 2. Immune complexes

Explanation: Ref Robbins 9/e p207 The Raji cell assay is an in vitro method for detecting complement fixing immune complexes in serum samples. The Raji cell is a lymphoblastoid cell with B-cell characteristics derived from a Burkitt's lymphoma cell line. It has low affinity Fc receptors for binding immunoglobulin and high affinity receptors for binding complement